Rider's bone ossify in the
1. Adductor Longus
2. Gluteus Maximus
3. Lateral head of Gastronemius
4. Tibialis Posterior

Correct answer: 1. Adductor Longus

Explanation: In horse riders, the rounded tendon of adductor longus frequently gets calcified as a result of its friction together with the horseback. This calcified tendon is named rider's bone.Reference: Chaurasia Volume II; 7th edition; Page no: 41